Which of the following is a protease inhibitor?
1. Lamivudine
2. Saquinavir
3. Delavirdine
4. Zidovudine

Correct answer: 2. Saquinavir

Explanation: Retroviral protease Inhibitors (Pis): An aspartic protease enzyme encoded by HIV is involved in the production of structural proteins and enzymes (including reverse transcriptase) of the virus. The large viral polyprotein is broken into various functional components by this enzyme. This protease acts at a late step in HIV replication, i.e. maturation of the new virus particles when the RNA genome acquires the core proteins and enzymes. Five protease inhibitors-Indinavir (IDV), Nelfinavir (NFV), Saquinavir (SQV), Ritonavir (RTV) and Lopinavir (in combination with ritonavir LPV /r) have been marketed in India for use against HIV. ESSENTIALS OF MEDICAL PHARMACOLOGY K.D.TRIPATHI SIXTH EDITION PAGE NO:771,772